Which of the following is a bactericidal drug for Mycobacterium leprae?
1. Ofloxacin
2. Ciprofloxacin
3. Amoxicillin
4. Erythromycin

Correct answer: 1. Ofloxacin

Explanation: Ans. (A) Ofloxacin(Ref: KDT 7th/e p782)Ofloxacin, pefloxacin, moxifloxacin and sparfloxacin are fluoroquinolones effective against leprosy and fluoroquinolone are bactericidal drugs.